Most common site of diatoms test done in drowning is?
1. Lungs
2. Bone marrow
3. Heart
4. Stomach

Correct answer: 2. Bone marrow

Explanation: Ans. (b) Bone marrowRef. Forensic medicine and toxicology, JR. N. Karmakar 154, Review of forensic medicine, Toxicoloty by gautam biswas 2/e, p 160